Granulomatous uveitis is seen in –a) Vogt–Koyanagi–Harada diseaseb) Fuch\'s diseasec) Behcet\'s syndromed) Sarcoidosise) Psoriasis
1. ad
2. c
3. ac
4. ab

Correct answer: 1. ad

Explanation: Sarcoidosis and Vogt - Koyanagi - Harada's disease cause granulomatous uveitis.
Bechet's disease, Psoriasis and Fuch's heterochromic iridocyclitis cause non-granulomatous uveitis.